A young male patient presents with LDL 600 mg/dl, triglycerides 160 mg/dl. What would be the most likely finding on physical examination
1. Tendon xanthoma
2. Lipemia retinalis
3. Eruptive tuberous xanthomas
4. Xanthelesma

Correct answer: 1. Tendon xanthoma